In angle-closure glaucoma, treatment given to the fellow eye is:
1. Pilocarpine eyedrops
2. Atropine
3. Laser iridectomy
4. Trabeculoplasty

Correct answer: 3. Laser iridectomy

Explanation: C i.e. Laser iridectomy